Which of the following is the first line drug for follicle induction in infertility in PCOS
1. Clomiphene citrate
2. GnRH agonist
3. Combined oral Pills
4. Letrozole

Correct answer: 4. Letrozole

Explanation: Letrozole is the Drug of choice- Induction of ovulation in a case of PCOS; Mode of action- Aromatase Inhibitor Decrease Estrogen production-->Inhibit Negative feedback on FSH --> increases FSH --> increase stimulation of follicles Letrozole preferred over Clomiphene citrate because decreases chances of multifetal pregnancy increased live birth rate OHSS : Rare with it Given for 5 days (D5-D9) Start with 2.5mg Max dose 7.5mg